The area under a normal distribution curve for SD of 2 is
1. 65%
2. 75%
3. 95%
4. 99%

Correct answer: 3. 95%

Explanation: (C) 95% # Normal distribution: In a normal curve the area between one standard deviation on either side of the mean (x+1s) will include approximately 68% of the values in the distribution> Area between two standard deviations on either side of the mean (x + 2s) will cover most of the values i.e., approximately 95% of the values, and> Area between (x + 3s) will include 99.7% of the values.